Bronchoscopy visualizes all except:
1. Trachea
2. Vocal cords
3. First segmental subdivision of bronchi
4. Subcarinal Lymph nodes

Correct answer: 4. Subcarinal Lymph nodes

Explanation: Carina - midline partition between the two bronchi is the first endobronchial landmark during bronchoscopy. Subcarinal lymph nodes cannot be visualized on bronchoscopy but widening of carina is suggestive of subcarnial lymphadenopathy, and pulsations of the carina may be seen in aneurysm of arch of aorta Rest all structures viz. vocal cord, trachea and first segmental subdivision of bronchi can be visualized. Also: Rigid bronchoscope visualises only up to segmental bronchus while it is possible to inspect the 2nd to 5th order subsegmental bronchi or beyond using the flexible bronchoscope.